Thiazides diuretic causes all except
1. Hyperglycaemia
2. Increased calcium excretion
3. Useful in congestive heart failure
4. Decreased uric acid excretion

Correct answer: 2. Increased calcium excretion

Explanation: Loop diuretics cause hypocalcemic by more excretion where as thiazides cause hypercalcemic by decreasing its excretion.